Which of the following is the etiological factor for the disease 'Bagassosis'?
1. Cotton
2. Sugarcane fibres
3. Carbon particles
4. Silica fibres

Correct answer: 2. Sugarcane fibres

Explanation: Bagassosis is an occupational disease of the lung caused by inhalation of bagasse or sugar-cane dust. It is due to a thermophilic actinomycete. The symptoms consist of breathlessness, cough, hemoptysis and slight fever. If left untreated, there is diffuse fibrosis, emphysema, and bronchiectasis. By keeping the moisture content above 20% and spraying the bagasse with 2% propionic acid, bagasse can be rendered safe for manufacturing use. Ref: Park's Textbook of Social and Preventive Medicine, 19th edition, Page 661-662.